What is March fracture?
1. Fracture of 2nd metatarsal
2. Fracture of 4th metatarsal
3. Fracture of cuboids
4. Fracture of tibia

Correct answer: 1. Fracture of 2nd metatarsal

Explanation: March fracture, also known as Insufficiency fracture is a stress or fatigue fractures of the metatarsals particularly the second metatarsal bone.It is more often seen in military personnel who induge in frequent and prolonged marching. ref: john ebnezar textbook ,page no.288